A most common tumour of urinary bladder is
1. Squamous cell carcinoma
2. Adenocarcinoma
3. Stratified squamous carcinoma
4. Transitional carcinoma

Correct answer: 4. Transitional carcinoma

Explanation: 3 histological types of Bladder cancer are seen transitional cell ca -90% squamous cell ca -5~10% adenocarcinoma - 2%